Breast milk is maximum at –
1. 1–2 months
2. 3–4 months
3. 5–6 months
4. 7–8 months

Correct answer: 3. 5–6 months

Explanation: Breast milk is maximum at 5-6 months of lactation -9 730 ml/day.
It is minimum at 37-38 months of lactation    --> 345 ml/day.